Histiocytosis X is seen in except :
1. Hand schuller Christian disease
2. Eosinophilic granuloma
3. Letter-siwe syndrome
4. Torres syndrome

Correct answer: 4. Torres syndrome

Explanation: Langerhans cell histiocytosis (Histiocytosis X) :

Histocytosis X is characterized by proliferation of Langerhans histiocytes (tissue macrophages).
It is subdivided into three categories : -


Letterer - Siwe syndrome.
Hand -Schuller-Christian disease.
Eosinophilic granuloma..


Tumor cells in each are derived from dendritic cells and express S - 100, CD1a and HLA - DR.
The presence of Birbeck granules in the cytoplasm is characteristic.
Under the electron microscope, Birbeck granules have a pentalaminar, rodlike, tubular appearance and sometimes a dilated terminal end (tennis - racket appearance).